"Whistle" is a word substitute for explaining the
following instrument in children -
1. High speed hand piece
2. Suction apparatus
3. Low speed hand piece
4. Air syringe

Correct answer: 1. High speed hand piece